Specific immunological unresponsiveness is called tolerance. Which one of the following statements best describes immunological tolerance-
1. Immunologic maturity of the host does not play a major role
2. It occurs only with polysaccharide antigens
3. It is related to the concentration of antibody
4. It is prolonged by administration of immuno-suppressive drugs

Correct answer: 4. It is prolonged by administration of immuno-suppressive drugs